Vascular invasion is characteristic feature of-
1. Candidiasis
2. Mucormycosis
3. Blastomycosis
4. Sporotrichosis

Correct answer: 2. Mucormycosis

Explanation: Ans. is 'b' i.e., Mucormycosis . In all form of mucormycosis, vascular invasion by hyphae is a prominant feature. . Ischemic or hemorrhagic necrosis is the foremost histologic finding.